Protein metabolism after trauma is characterized by the following except:-
1. A.Increased liver gluconeogenesis
2. B.Inhibition of skeletal muscle breakdown by interleukin 1 and tumour necrosis factor
3. C.Increased urinary nitrogen loss
4. D.Hepatic synthesis of acute phase reactants

Correct answer: 2. B.Inhibition of skeletal muscle breakdown by interleukin 1 and tumour necrosis factor

Explanation: The average protein intake in healthy young adults range from 80- 120g/dl and every 6g of protein yields about 1g of nitrogen. After injury the initial systemic proteolysis mediated primarily by glucocorticoids , increases urinary nitrogen excretion to excess of 30g/dl, roughly corresponds to a loss in lean body mass of 1.5% per day.An injured individual who does not receive nutrition for 10 days can theoritically loose 15% of lean body mass. Protein catabolism after injury provides substrates for gluconeogenesis and for the synthesis of acute phase proteins. Skeletal muscle proteins are the first to deplete acutely after an injury whereas visceral proteins remain relatively preserved. Severe trauma , burns , and sepsis are associated with increased protein catabolism. The rise in urinary nitrogen and negative nitrogen balance can be detected early after injury and peak by 7 days. Protein catabolism may persist upto 3-7 weeks.